Modality best utilized for neuromuscular monitoring during maintenance of anaesthesia is
1. Train of four
2. Single twitch
3. Tetanic stimulation
4. Post-tetanic stimulation

Correct answer: 1. Train of four

Explanation: Neuromuscular monitoring, also known as a train of four monitoring, is a technique used during recovery from the application of general anaesthesia to objectively determine how well a patient's muscles are able to function.